Half life of factor VIII -
1. 2-4 hours
2. 8-12 hours
3. 6 minutes
4. 60 days

Correct answer: 2. 8-12 hours

Explanation: Ans. is 'b' i.e., 8-12 hours o Half life of various clotting factors (in hours) :-* Firinogen - 100-150# Factor III -6# Factor X - 45-52* Prothrombin -60# FactorVIII-8-12# FactorXI -48-84* Factor V-24# Factor IX - 24# Factor XII - 150 # WVF-30